Histogram is used to describe-
1. Quantitative data of a group of patients
2. Qualitative data of a group of patients
3. Data collected on nominal scale
4. Data collected on ordinal scale

Correct answer: 1. Quantitative data of a group of patients

Explanation: Histogram is used to describe quantitative data of a group of patients. Histogram is graphical presentation for. 'Continuous quantitative data'. Reference: Simple Biostatistics by Indeayan & Indrayan,1st edition,pg no:104 and Methods in Biostatistics by Mahajan,6 th edition,pg no.20, K . Park,23rd edition, pg no.844-846.